Thiamine deficiency is known to occur in all of the following except :
1. Food Faddist
2. Homocysteinemia
3. Chronic alcoholic
4. Chronic heart failure patient on diuretics

Correct answer: 2. Homocysteinemia

Explanation: Homocysteinemia (Option B ) occurs due to deficiency of vitamins - B6, B9 & B12 (NOT Vitamin B1 i.e. Thiamine). Option C - Alcohol interferes with the absorption of Thiamine. Option A - Food faddism is a term generally used to describe a particular food or food group that is exaggerated in the routine diet or is eliminated in order to cure one specific disease. A person believing in this may exclude thiamin containing food in its diet and consequently may get thiamine deficiency. Option D - Loop diuretics cause thiamine deficiency by increasing its urinary loss. ADDITIONAL EDGE ON THIAMINE DEFICIENCY B1 deficiency leads to Beri Beri. As vitamin B1 is mainly involved in oxidative decarboxylation reactions, so in B1 deficiency, highly aerobic tissues e.g. Heart and Brain fail first.